Investigation of choice for meningeal carcinomatosis is -
1. Contrast enhanced MRI
2. PET – CT
3. SPECT
4. NCCT

Correct answer: 1. Contrast enhanced MRI